Attachment site of miRNA to inhibit gene expression?
1. 3' end of mRNA
2. 5' end of mRNA
3. Binding to sigma factor
4. Cap binding protein

Correct answer: 1. 3' end of mRNA

Explanation: Ans. is 'a' i.e.,3' end of mRNADicer (cytoplasmic enzyme) produce mi-RNA duplex, i.e. double stranded miRNA.It unwinds and one strand of this duplex is incorporated into RNA induced silencing complex (RCIS), which help in gene regulation.miRNA (RCIS) then recognize target sequences in the 3' untranslated region of mRNA for complementary base pairing.Base-pairing directs RISC to either cause mRNA cleavage or repress its translation.